Mucopolysaccharide hyaluronic acid is present in
1. Vitreous humor
2. Cornea
3. Blood vessels
4. Lens

Correct answer: 1. Vitreous humor

Explanation: Ans. is 'a' i.e. Vitreous humar Distribution of various glycosaminoglycansHyaluronic acidSynovial fluid, vitreous humor, loose connective tissueChondroitin sulfatesCartilage, bone, corneaKeratan Sulfate ICorneaKeratan Sulfate IILoose connective tissueHeparinMast cellsHeparan SulfateSkin fibroblasts, aortic wallDermatan SulfateWide distribution